All of the following discoveries are associated with Louis Pasteur, EXCEPT:
1. Vaccination of small pox
2. Germ theory
3. Pasteurization
4. Vaccination of rabies

Correct answer: 1. Vaccination of small pox

Explanation: Edward Jenner introduced vaccination for small pox with live cowpox virus in 1798. Works of Louis Pasteur: Germ theory of fermentation Sterilization techniques: steam sterilizer, hot air oven, autoclave He coined the term 'vaccine'. Vaccination of anthrax, rabies and cowpox Ref: Brooks G.F., Carroll K.C., Butel J.S., Morse S.A., Mietzneron T.A. (2010). Chapter 34. Poxviruses. In G.F. Brooks, K.C. Carroll, J.S. Butel, S.A. Morse, T.A. Mietzneron (Eds), Jawetz, Melnick, & Adelberg's Medical Microbiology, 25e.